Facial edema, cheilitis granulomatosa and a fissured tongue characterize which of the following syndromes?
1. Frey's syndrome
2. Melkerson-Rosenthal syndrome
3. Treacher Collins syndrome
4. None of the above

Correct answer: 2. Melkerson-Rosenthal syndrome